All of the following structures forms the border of Quadrangular space, EXCEPT?
1. Teres major
2. Teres minor
3. Pectoralis minor
4. Long head of the triceps brachii muscle

Correct answer: 3. Pectoralis minor

Explanation: Structures forming the borders of Quadrangular space are teres major and teres minor muscles, long head of the triceps brachii muscle, and the humerus. Contents of this space are: axillary nerve and the posterior circumflex humeral artery. Structures forming the border of triangular space are:Teres major and teres minor muscles and the long head of the triceps brachii muscle.Its contents is Circumflex scapular artery.